Proximal tubule proteinuria and painful bone lesions are seen in overdose of -
1. Cadmium
2. Lead
3. Mercury
4. Phenol

Correct answer: 1. Cadmium